Cloudy cornea is a feature of
1. Hurler's disease
2. Morquio's disease
3. Maroteaux Lomy disease
4. All of the above

Correct answer: 4. All of the above

Explanation: Cloudy cornea is observed in type IH(Hurler),type IS(Scheie), and type VI(Maroteaux-Lamy) and in some cases of type IV(Morquio) mucopolysaccharidoses.It is minimal in type III and is not seen in type II. Reference:Essential pediatrics-Ghai,8th edition,page no:660